All of the following are side effects of valproic acid, except-
1. Alopecia
2. Hepatitis
3. Nephrotoxicity
4. Skin rash

Correct answer: 3. Nephrotoxicity

Explanation: Ans. is 'c' i.e., Nephrotoxicity